Ducts of bellini are found in
1. Pancreas
2. Submandibular salivary gland
3. Kidney
4. Liver

Correct answer: 3. Kidney

Explanation: The Uriniferous Tubules - From a functional point of view the kidney may be regarded as a collection of numerous uriniferous tubules that are specialised for the excretion of urine. Each uriniferous tubule consists of an excretory part called the nephron, and of a collecting tubule. The collecting tubules draining different nephrons join to form larger tubules called the papillary ducts (of Bellini), each of which opens into a minor calyx at the apex of a renal papilla. Each kidney contains one to two million nephrons. Urinary tubules are held together by scanty connective tissue. Blood vessels, lymphatics and nerves lie in this connective tissue. REF : Inderbir Singh's Textbook of Human Histology, seventh edition, pg.no., 304.